True regarding arbovirus is all except -
1. KFD is transmitted by Tick
2. Dengue virus has one Serotype
3. Yellow fever is not seen in India
4. Dengue fever is transmitted by Aedes

Correct answer: 2. Dengue virus has one Serotype

Explanation: Ans. is 'b' i.e., Dengue virus has one Serotype o KFD is mainly transmitted by Hard tick, but soft tick can also transmit the disease.o Dengue virus has four serotypes.o Yellow fever is not endemic in India, it is distributed in Africa and South America.o Dengue fever is transmitted by Aedes mosquito.